The first bone formed in response to orthodontic Loading is:
1. Bundle bone
2. Composite bone
3. Lamellar bone
4. Woven bone

Correct answer: 4. Woven bone